Blunt trauma abdomen maximum injury is to :
1. Proximal ileum
2. Proximal jejunum
3. Midilium
4. All

Correct answer: 2. Proximal jejunum

Explanation: Ans. is 'b' i.e. Proximal jejunum